APGAR score includes following parameters except
1. Heart rate
2. Muscle tone
3. Blood pressure
4. Body tone

Correct answer: 3. Blood pressure

Explanation: Ans. c (Blood pressure) (Ref Text book of PSM by Park 22nd/492)APGARSCALE# In 1953, American anesthesiologist, Virginia Apgar, published her new method for evaluating the newborn infant. This scoring system which became known as the APGAR scale later evolved into the standard for medical practice.# The test is administered at one minute and five minutes after birth. If there are problems with the infant, an additional score may be repeated at a 10-minute interval.# For a Cesarean section the baby is additionally assessed at 15 minutes after delivery. The table below displays the criteria used in the APGAR scale.Test0 Points1 Point2 PointsActivity (Muscle Tone)AbsentArms & legs extendedActive movement with flexed arms & legsPulse (Heart Rate)AbsentBelow 100 bpmAbove 100 bpmGrimace (Response Stimulation or Reflex Irritability)No responseFacial grimaceSneeze, cough, pulls awayAppearance(Skin Color)Blue-gray, pale all overPink body and blue extremitiesNormal over entire body - Completely pinkRespiration(Breathing)AbsentSlow, irregularGood, crying# After the infant is examined, the scores are totaled.# A score of 7-10 is considered normal.# A newborn with a score of 4-7 may require additional resuscitative measures while a score of 3 and below necessitates immediate medical attention.# It is important to remember that the APGAR score is strictly used to determine the newborn's immediate condition at birth and does not necessarily reflect the future health of the baby.